A 65 year old man was seen as an outpatient complaining of central chest pain on exertion. His son tells you that 5 years ago he had been admitted for MI in the CCU of the same hospital. His vitals are stable and chest is clear. No added heart sounds are heard. What is the next best step?
1. Perform Stress tests
2. Perform Cardiac biomarkers
3. Perform PCI
4. Perform Transvenous Pacing

Correct answer: 1. Perform Stress tests

Explanation: The ECG shows a heart of 60/min with normal sinus rhythm. Prominent Q waves are noted in lead III, AVF indicating a previous inferior wall MI. Markedly Peaked T waves are noted in V2 and V3. Known case of ASCVD and currently is having chronic stable angina. He needs stress tests to decide the need for revascularization procedure like PCI with Stenting or CABG.cardiac biomarkers will not be elevated since angina is going on .infarction has not yet occured. stress test will decide whether patient need cardiac intervention or not Check for daily intake of aspirin, Statins, Long acting nitrates and cardio-selective Beta Blockers